Deep inguinal ring is:
1. Condensation of the external oblique
2. Condensation of the transversalis fascia
3. Condensation of the internal oblique
4. Condensation of the cremesteric fascia

Correct answer: 2. Condensation of the transversalis fascia

Explanation: (Condensation of the transversalis fascia): Ref: 1274 - LB (971-B & L 25th) Deep inguinal ring is a U-shaped condensation of the tranversalis fascia and is lies 1.25 cm above the inguinal (poupart's) ligament, midway between the symphysis pubis and the ASIS Superficial inguinal ring: - is a triangular aperture in the aponeurosis of the external oblique and lies 1.25 cm a bove the pubic tubercle